Disorder of T cell is
1. Bruton disease
2. Purine nucleoside phosphorylase (PNP) deficiency
3. Chediak-Higashi Syndrome
4. Job's Syndrome

Correct answer: 2. Purine nucleoside phosphorylase (PNP) deficiency

Explanation: PNP deficiency is autosomal recessive disorder
T cell defect.